Route of administration of LMWH for prophylaxis of thrombosis in a patient who had undergone surgery few hours back is:
1. Subcutaneous
2. Intravenous
3. Inhalational
4. Intramuscular

Correct answer: 1. Subcutaneous

Explanation: Ans. (A) i.e. Subcutaneous(Ref: Goodman Gilman 13thed; pg. 589)LMWH and fondaparinux can be used by subcutaneous route once a day for both treatment and prophylaxis of thrombosis.Unfractionated heparin can be used by subcutaneous route twice a day for prophylaxis and by intravenous route four times a day for treatment of thrombosis.